A 53-year-old waitress inquiries about the implications of positive estrogen receptors (ER+) in an invasive carcinoma that is excised from her left breast.She should be informed of what?
1. They are more often positive in patients under 50 years of age.
2. If the receptors are positive, antiestrogen therapy is not indicated.
3. If the receptors are positive, the prognosis is more unfavorable.
4. ER and progesterone receptor (PR) status should be determined in all cases of breast carcinoma.

Correct answer: 4. ER and progesterone receptor (PR) status should be determined in all cases of breast carcinoma.

Explanation: ER and PR status should be determined in all cases of breast carcinoma. Positive ER and PR are indicative of an improved outlook and likelihood of response with antiestrogen medication. PR+ do not predict negative ER status.